Husband having suspicion that his wife is having affair with another man, diagnosis is
1. delusion
2. perception
3. hallucination
4. Amotivation

Correct answer: 1. delusion

Explanation: DELUSION - * false fixed firm belief, * subjective certainity, * compelling counterargument, * impervious to other experiences and * outside socio cultural and educational background the delusion explained in the question is delusion of marital infedilty also called as Othello syndrome other name for othello syndrome is * JEALOUS TYPE of delusional disorder o ALSO KNOWN AS Conjugal paranoia * Othello syndrome * Marked jealousy * Pathological jealousy Morbid jealousy o It is more common among alcoholic males ,the possible explanation that is given is alcoholic males have sexual dysfunction and that these women may start suspecting their spouses. Reference.Kaplon and Sadock, synopsis of psychiatry, 11 th edition, pg no.333